Portal vein is formed by union of:
1. SMV & SV
2. SMV & IMV
3. IMV & SV
4. IMV + Hepatic vein

Correct answer: 1. SMV & SV

Explanation: SMV & SV